Tecnniques of delivery of after coming head in breech presentation :
1. Burns-Marshall method
2. Forceps delivery
3. Modified Mauriceau-Smellie-Veit technique
4. All

Correct answer: 4. All

Explanation: Ans. is a, b and c i.e. Burns-Marshall method; Forceps delivery; and Modified Mauriceau-Smellie-Veit technique Methods of delivery of after coming head of breech : Burns marshall technique Mouriceau smellie met technique Piper's forcep. Note : Lovset's manoeuvre is used for delivery of extended arms in breech.